All of the following statements are TRUE about bactericidal killing, EXCEPT:
1. Chediak-Higashi syndrome involves defect in phagolysosome formation
2. Bruton's agammaglobulinemia has normal opsonization
3. Myeloperoxidase acts by releasing OCl- ions
4. NADPH action in by release of superoxide anions

Correct answer: 2. Bruton's agammaglobulinemia has normal opsonization

Explanation: Bruton's agammaglobulinemia, X-linked agammaglobulinemia (XLA):Patients with XLA are pan-hypogammaglobulinemic, with decreased levels of IgG, IgM, and IgA.They exhibit poor to absent responses to antigen challenge even though virtually all demonstrate normal functional T-lymphocyte responses to in vitro as well as in vivo tests (eg, delayed hypersensitivity skin reactions). TThe basic defect in this disorder appears to be arrested cellular maturation at the pre-B-lymphocyte stage.Because encapsulated bacteria require antibody binding for efficient opsonization, these humoral immune-deficient patients suffer from sinusitis, pneumonia, pharyngitis, bronchitis, and otitis media secondary to infection with S pneumoniae, other streptococci, and H influenzae. Ref: Kishiyama J.L. (2010). Chapter 3. Disorders of the Immune System. In S.J. McPhee, G.D. Hammer (Eds), Pathophysiology of Disease, 6e.